Chi square test is applied to test the independence of cross distribution of two variables and each of them should have
1. Equal number of cases
2. Mutually exclusive cases
3. Normal distribution
4. Non-mutually exclusive cases

Correct answer: 2. Mutually exclusive cases